Which of the following lipoproteins has highest protein content ?
1. VLDL
2. LDL
3. HDL
4. Chylomicrons

Correct answer: 3. HDL

Explanation: HDL has highest protein content Lipoproteins Density relation Chylomicrons Chylomicrons remnant VLDL VLDL remnant / IDL LDL HDL Density [?] 1/TG Content Density [?] 1/size of LP Density [?] % of Proteins Since, HDL is maximum in density and Density [?] % of Proteins.